Foramen rotundum transmits the following:
1. Mandibular nerve.
2. Maxillary nerve.
3. Middle meningeal artery.
4. All of the above.

Correct answer: 2. Maxillary nerve.